The most common cause of preventable hospital death is
1. Acute pulmonary embolism
2. Heart failure
3. Myocardial infraction
4. Cancer

Correct answer: 1. Acute pulmonary embolism

Explanation: PE is the most common preventable cause of death among hospitalized patients. Clinical features The diagnosis of pulmonary embolism (PE) may be aided by asking three questions: * Is the clinical presentation consistent with PE? * Does the patient have risk factors for PE? * Are there any alternative diagnoses that can explain the patient's presentation? Clinical presentation varies, depending on number, size and distribution of emboli and on underlying cardiorespiratory reserve (Box 17.83). A recognised risk factor is present in 80-90% (see Box 23.65, p. 975). The presence of one or more risk factors increases the risk further still. Ref Davidson edition23rd pg 619